Maternal mortality includes:
1. Pregnancy
2. 42 days of termination of pregnancy
3. Both
4. None

Correct answer: 3. Both

Explanation: Both